Myasthenics are resistant to following muscle relaxant :
1. Suxamethonium
2. Pancurium
3. Atracuronium
4. Vecuronium

Correct answer: 1. Suxamethonium

Explanation: A i.e. Suxamethonium